Carpal tunnel syndrome is due to involvement of which nerve:
1. Radial nerve
2. Median nerve
3. Ulnar nerve
4. Axillary nerve

Correct answer: 2. Median nerve

Explanation: Ans. B: Median Nerve